Which antibody is incriminated in causing Henoch Schonlein Purpura?
1. IgA
2. IgG
3. IgM
4. IgD

Correct answer: 1. IgA

Explanation: Ans. (a) IgARef: Harrison 18th edition, Chapter 326* The Presumptive pathogenic mechanism for Henoch- Schonlein purpura is immune-complex deposition.* IgA is the antibody class most often seen in the immune complexes and has been demonstrated in the renal biopsies of these patients.* A number of inciting antigens have been suggested including upper respiratory tract infections, various drugs, foods, insect bites, and immunizations.